The organization concerned with improving the working and living conditions of the working population all over the world is -
1. ILO
2. FAO
3. WHO
4. UNDP

Correct answer: 1. ILO

Explanation: In 1919 ,the International Labor Organization was established as an affiliate of the league of nations to improve the working and living conditions of the working population all over the world.There is close collaboration between ILO and WHO in the feild of health and labor (refer pgno:923 park 23rd edition)